The use of succinylcholine is not contraindicated in –
1. Tetanus
2. Closed head injury
3. Cerebral stroke
4. Hepatic failure

Correct answer: 4. Hepatic failure

Explanation: Hepatic failure is not a contraindication.
Tetanus, head injury and cerebral stroke (Hemiplegia) are contraindications.